Drug inhibiting granulocyte migration is:-
1. Montelukast
2. Cromoglycate
3. Colchicine
4. Felbamate

Correct answer: 3. Colchicine

Explanation: Colchicine : used for the treatment of acute gouty attack. Binds to tubulin, a microtubular protein, causing it's depolymerization. This disrupts cellular function such as inability of granulocyte, thus deceasing their migration into affected area. Furthermore, colchicine block cell division by binding to mitotic spindle. Montelukast/ Zafirlukast : Blocks leukotriene receptor. Felbamate : Broad spectrum of anticonvulsant action with multiple mechanism including blocking of voltage depended sodium channel, blocking calcium channel and potentiating GABA action. It is reserved for use in refractory epilepsies particularly Lennox- Gastaut Syndrome because of the risk of aplastic anemia and hepatic failure. Sodium cromoglycate :- Inhibit degranulation of mast cell (Mast cell Stabilizer).